Which of the following is a cause of Unconjugated Hyperbilirubinemia?
1. Crigler-Najjar syndromes types I
2. Rotor syndrome
3. Dubin-Johnson syndrome
4. Hepatitis

Correct answer: 1. Crigler-Najjar syndromes types I

Explanation: Some Causes of Unconjugated and Conjugated HyperbilirubinemiaUnconjugatedConjugatedHemolytic anemiasObstruction of the biliary treeNeonatal "physiologicaljaundice"Dubin-Johnson syndromeCrigler-Najjar syndromes types Iand IIRotor syndromeGilbe syndromeLiver diseases such as thevarious types of hepatitisToxic hyperbilirubinemiaRef: Harper's Biochemistry; 30th edition; Chapter 31; Porphyrins & Bile Pigments